Chlamydia escapes killing by:
1. Molecular mimicry
2. Inhibiting phagolysosome fusion
3. Causing cell membrane perforation
4. Producing factors that camouflage it

Correct answer: 2. Inhibiting phagolysosome fusion

Explanation: Ans:B.)Inhibiting Phagolysosome Fusion. Inhibition of fusion of the phagocytic lysosomes (granules) with the phagosome. The bacteria survive inside of phagosomes because they prevent the discharge of lysosomal contents into the phagosome environment. Specifically, phagolysosome formation is inhibited in the phagocyte. This is the strategy employed by Salmonella, M. tuberculosis, Legionella and the chlamydiae.